All nerves are involved in superior orbital fissure syndrome except -
1. 1st
2. 3rd
3. 4th
4. 6th

Correct answer: 1. 1st

Explanation: Ipsilateral ophthalmoplegia due to 3rd, 4th ,& 6th cranial nerve involvement ptosis due to 3rd nerve paralysis. Ref .ak khurana 6th edition pg no 413